Which of the following statement regarding UNFPA is true?
1. Introduce innovative approaches to family planning & MCH care.
2. Introduced Freedom from hunger campaign
3. Introduced GOBI-FFF campaign
4. It helps in building peace & eradication of poverty

Correct answer: 1. Introduce innovative approaches to family planning & MCH care.

Explanation: UNFPA : Funds national level schemes; develop health, family welfare infrastructure & improve availability of services in rural areas. Develop national capability for manufacture of contraceptives, population education programs, strengthen program management & improve output of grass- root level health workers. Introduce innovative approaches to family planning & MCH care. Other options: Freedom from hunger campaign - introduced by FAO . GOBI-FFF campaign - introduced by UNICEF (United Nations International Children's Emergency Fund). United Nations Educational, Scientific and Cultural Organization - contribute to build peace, eradicate poverty, sustainable development & intercultural dialogue through education, sciences, culture, communication etc.